A 49 year old man suffering from carcinoma of prostate was x -rayed. He showed areas of sclerosis and collapse of T 10 and T11 vertebrae in x-ray. The spread of this cancer to the above vertebrae was through -
1. Sacral canal
2. Lymphatic vessels
3. Internal vertebral plexus of veins
4. Superior rectal vein

Correct answer: 3. Internal vertebral plexus of veins

Explanation: Ans is 'c' i.e. Internal vertebral plexus of veins Prostatic cancer spreads to the bones through blood vessels; first into Batson's periprostatic venous plexus * and then into the internal vertebral plexus of veins. This metastatis is possible because of valveless communication* between the periprostatic and vertebral plexus of veins.